A patient presents with antrochoanal polyp arising from the medial wall of the maxilla. Which of the following would be the best management for the patient"
1. FESS with polypectomy
2. Medial maxillectomy (TEMM)
3. Caldwell-Luc procedure
4. Intranasal polypectomy

Correct answer: 1. FESS with polypectomy

Explanation: Ans. a. FESS with polypectomy